Bimatoprost is used in:
1. Glaucoma
2. Barett oesophagus
3. H ype rtrichosis of eyeli d
4. NSAIDS ulcer

Correct answer: 1. Glaucoma

Explanation: Ans: A (Glaucoma) Prostaglandin Analogue areBimatoprostQLatanoprostTravoprostUnoprostoneQAdvantages of PG Analogue;Once daily dosingLow incidence of systemic side effects :It includes irreversible brown pigmentation of the iris & eyelashes, drying of the eyes & conjunctivitis1'(Katzung Wth/307)Potent intraocular pressure lowering effects"Misoprost (PGE1) is used in NSAIDS associated gastrointestinal injury1-'KDT6th/634 _